De Musset's sign is seen in
1. Tricuspid regurgitation
2. Mitral stenosis
3. Aortic regurgitation
4. Marfan syndrome

Correct answer: 3. Aortic regurgitation

Explanation: De Musset's sign - nodding of head with each systole seen in Aortic regurgitation.